All of the following from the boundary of MacEwen's triangle except
1. Temporal line
2. Posterosuperior segment of bony external auditory canal
3. Promontory
4. Tangent drawn to the external auditory meatus

Correct answer: 3. Promontory

Explanation: Bounded by Temporal line, the Posterosuperior segment of a bony external auditory canal, Tangent drawn to the external auditory meatus. Important landmark to locate mastoid antrum in mastoid surgery. Ref: Dhingra 6th edition